True about El T or vibrio -
1. More SAR
2. VP reaction (+)ve
3. Low carrier rate
4. More severe

Correct answer: 2. VP reaction (+)ve

Explanation: Ans. is 'b' i.e., VP reaction (+)ve o El Tor Vibrio has following characteristics (in comparison to classical vibrio)i) It is much hardier than classical vibrios, capable of surviving in the environment much longer.ii) The severity of illness is much less, with a large proportion of mild and asymptomatic infections.iii) Mortality is low and the carrier rate is high.iv) Fewer secondary cases in affected families (secondry attack rate is less).TestClassical choleraEl TorHemolysis-+Voges-Proskauer-+Chick erythrocyte-+Aggulination Polymyxin B+-Sensitivity Group IV phage+-Susceptibility-+E1 Tor phage 5 susceptibility